Metabolic Syndrome has following features except
1. High triglycerides
2. High blood pressure
3. High blood sugar
4. High HDL levels

Correct answer: 4. High HDL levels

Explanation: The metabolic syndrome (syndrome X, insulin resistance syndrome) consists of a constellation of metabolic abnormalities that confer increased risk of cardiovascular disease (CVD) and diabetes mellitusThe major features of the metabolic syndrome include central obesity, hypertriglyceridemia, low levels of high-density lipoprotein (HDL) cholesterol, hyperglycemia, and hypertensionRef: Harrison; 19th ed; Pg 2449